A major lipid of mitochondrial membrane is:
1. Inositol
2. Plasmalogen
3. Cardiolipin
4. Lecithin

Correct answer: 3. Cardiolipin

Explanation: Cardiolipin is a phospholipid which is present in inner mitochondrial membrane Found only in mitochondria Can be antigenic Has a role in apoptosis signaling Act as anticoagulant Decreased or altered cardiolipin can lead to ageing, heart failure, hypothyroidism & Barth syndrome (cardioskeletal myopathy) Complex structure Made up of Glycerol attached to two Phosphatidic acid.